The total volume of CSF is :
1. 50 ml
2. 100m1
3. 150 ml
4. 275 ml

Correct answer: 3. 150 ml

Explanation: C i.e 150 ml